Respiratory centre depression is caused by all exceptaEUR'
1. Opium
2. Strychnine
3. Barbiturates
4. Gelsemium

Correct answer: 2. Strychnine

Explanation: Strychnine Strychnine is a respiratory stimulant, itfant, it stimulates all parts of CN.S. -In strychnine poisoning the person is not able to breathe but it does not occur due to respiratory centre depression instead it is caused by spasm of the diapharm and thoracic muscles. Respiratory depression with opioids is well known. Barbiturates Wray also cause respiratory depression at high doses (depresses the medullary respiratory centre). Gelesmium The young root of gelesmium is used to prepare homeopathic remedy. The roots have analgesic, antispasmodic, diaphoretic hypnotic, mydriatis, nervine, sedative and vasodilator properties. It is a powerful depressant of the central nervous system, deadening pain. It is said to suspend and hold in check muscular irritability and nervous excitement with more force and power than any know treatment. Excessive dose of gelesmium causes: ? - Respiratory depression (due to depression of medullary centre) - Giddiness - Double vision - Paralyze the spinal cord - Almost complete loss of muscular power and death should not be recommended .for patients with heart disease, hypotension.